Vitamin A is stored in:
1. Kupfer cells
2. Hepatocytes
3. Ito cells
4. Endothelial cells of liver

Correct answer: 3. Ito cells

Explanation: HSCs(Hepatic Stellate Cells) are: Pericytes which exist in the space between parenchymal cells and liver sinusoidal endothelial cells of the hepatic lobule. Also called Vitamin A-storing cells, Lipocytes, Interstitial cells, Fat-storing cells or Ito cells, Perisinusoidal cells Store 50-80% of vitamin A in the whole body as Retinyl Palmitate.